Which of these does not cause crescentic glomerulo nephritis -
1. Rapidly progressive glomerulonephritis
2. Alport syndrome
3. Goodpasture syndrome
4. Henoch schonlein purpura

Correct answer: 2. Alport syndrome

Explanation: There are some systemic diseases that are characterized by the formation of crescents. Systemic diseases such as Goodpasture's syndrome, SLE, Henoch-Schlein purpura come under type1 RPGN and they are associated with crescent formation. Alport's syndrome is an x-linked dominant disorder and the light microscopy shows segmental proliferation of mesangial cells with increased mesangial matrix and occasional segmental sclerosis. Another prominent feature is the presence of lipid-laden foam cells in the interstitium. Ref: TEXTBOOK OF PATHOLOGY HARSH MOHAN 7th edition, pg no:654,655,665